Chignon is:
1. Cephal hematoma
2. Artificial caput
3. Scalp laceration
4. Excessive moulding

Correct answer: 2. Artificial caput

Explanation: A vacuum is applied (usually 0.2 kg/cm2 for vacuum extraction of a baby).
The scalp is sucked into the cup and an artificial caput is produced. This chignon usually disappears in a few hours.